A 65 year old man complains of difficulty in reading newspaper with his left eye, three weeks after sustaining a gunshot injury to his Right eye. Diagnosis is
1. Macular edema
2. Retinal detachment
3. Sympathetic ophthalmitis
4. Hyphaema

Correct answer: 3. Sympathetic ophthalmitis

Explanation: It is a serious bilateral granulomatous panuveitis which follows a penetrating ocular trauma.